Chemoprophylaxis is ________ prevention
1. Primordial
2. Primary
3. Secondary
4. Tertiary

Correct answer: 2. Primary

Explanation: Primary prevention aims at preventing the progression of risk factors to disease Ref : Park's Textbook of Preventive and Social Medicine; 23rd edition - Pgno. 41